HPV causes which change in cervical epithelium
1. Induction of apoptosis
2. Induction of necrosis
3. Immortalization of epithelial cells
4. By stimulating telomerase

Correct answer: 3. Immortalization of epithelial cells

Explanation: Ans. is 'c' i.e., Immortalization of epithelial cells o HPV selectively infects the epithelium of skin and mucous membrane and may immortalize the keratinocytes leading either asymptomatic infection, or warts or neoplasia.o Products of E-genes (E6, E7) are related to immortalization or malignant transformation of keratinocytes by interfering with p53 and Rb genes, respectively.